The only FDA approved radioactive antibody that can be used for treatment of lymphoma:
1. Trastuzumab
2. Ibritumomab
3. Rituximab
4. Imatinib

Correct answer: 2. Ibritumomab

Explanation: Ibritumomab is a TNF a inhibitor is a newly approved drug by the FDA for treating both Hodgkin and non-Hodgkin lymphomas. It is a monoclonal antibody radioimmunotherapy treatment for relapsed or refractory, low grade or transformed B cell non-Hodgkin's lymphoma, a lymphoproliferative disorder. Other given drugs are also TNF a inhibitors mostly used in rheumatoid arthritis, ankylosing spondylosis, chron's disease, etc REF KD tripathi 8th ed